I.R.LS. is-
1. Immune reconstitution idiopathic syndrome
2. Immune reconstitution immunological syndrome
3. Immune reconstitution inflammatory syndrome
4. Inflammatory reconstitution immune syndrome

Correct answer: 3. Immune reconstitution inflammatory syndrome

Explanation: Ans. is 'c' i.e., Immune reconstitution inflammatory syndrome Causes of bone marrow suppression in patients with HIV infectionHIV infectionMedicationsMycobacterial infectionsZidovudineFungal infectionsDapsotieB19 parvovirus infectionT rimethoprim/ SulfamethoxazoleLymphomaPyrimethamine5-FlucytosineGanciclovirInterferon aTrimetrexateFoscamet